Concentration of lignocaine used
1. 2%
2. 4%
3. 5%
4. All

Correct answer: 4. All

Explanation: A i.e., 2% B i.e., 4% C i.e., 5%